A person working in an abattoir presented with malignant pustule on hand; What is the causative agent?
1. Clostridium botulinum
2. ostridium perfringens
3. Bacillus anthracis
4. Streptococcus pyogenes

Correct answer: 3. Bacillus anthracis

Explanation: Bacillus Anthrax causes malignant pustule which later becomes vesicule containing fluid, this is also known as cutaneous Anthrax or Hide porter's disease since it is common in dockworkers containing load of hides and skin on their back surface.